Tomato ketchup retina is seen in
1. Central retinal artery occlusion
2. Central retinal vein occlusion
3. Coats disease
4. Sickle cell retinopathy

Correct answer: 2. Central retinal vein occlusion

Explanation: (Refer: AK Khurana Comprehensive Ophthalmology, 6th edition, pg no. 271 - 272)Central Retinal Vein Occlusion (CRVO)FeaturesNon-Ischemic CRVO Ischemic CRVO Epidemiology Most common (75%)Moderate visual acuity lossLess common (25%)Severe visual acuity lossPathogenesis Slight RAPD with mild tortuosity & dilatation of retinal veins Marked RAPD with severe tortuosity & engorgement of retinal veins Fundus finding Hemorrhages Dot blot & Flame shaped in all 4 quadrants & most numerous in periphery Extensive retinal hemorrhages (Blood & Thunder fundus)Cotton wool spots Few Numerous Disc & Macular edema Mild Severe with hyperemia Fundus Fluorescein Angiography Venous stasis Masking of retinal vascular bed by retinal hemorrhages & extensive area of capillary nonperfusion Prognosis Good Poor Management Treat predisposing factor Pan retinal photocoagulation